Glassgow Coma scale of a patient with head injury- He is confused, able to localize on right side and does flexion on left side and Opens eye for painful stimuli on Sternum.
1. 8 points
2. 9 points
3. 10 points
4. 11 points

Correct answer: 4. 11 points

Explanation: Ref. Sabiston Textbook of Surgery. Pg. 411